Pneumatosis intestinalis is diagnostic of -
1. Ileal perforation
2. Necrotizing enterocolitis
3. Meconium ileus
4. Colonic aganglionosis

Correct answer: 2. Necrotizing enterocolitis